Anacrotic pulse in felt in-
1. AR
2. MR
3. MS
4. AS

Correct answer: 4. AS